Plasma ceruloplasmin is a
1. a-1 globulin
2. a-2 globulin
3. b-1 globulin
4. b-2 globulin

Correct answer: 2. a-2 globulin

Explanation: Caeruloplasmin It is a copper-containing a2-globulin, a glycoprotein with enzyme activities. Molecular weight is [?] 151,000. It has eight sites for binding copper-contains about eight atoms of copper per molecule- 1/2 as cuprous (Cu+) and 1/2 as cupric (Cu++). It carries 0.35 percent Cu by weight. Normal plasma contains approx. 30 mg/100 ml and about 75 to 100 mg of Cu may be present in 100 ml of plasma. It has enzyme activities, e.g. copper oxidase, histaminase and ferrous oxidase.Ref: Textbook of medical biochemistry, MN Chatterji, 8th edition, page no: 101